Habit disorder is all except:
1. Thumb sucking
2. Nail biting
3. Temper tantrums
4. Tics

Correct answer: 3. Temper tantrums

Explanation: The 'habit disorder' is used to describe a class of disorder that is characterised by repetitive and unwanted behaviours. Two types : Tic disorders Body focused repetitive behaviours such as hair pulling, skin picking, nail biting, thumb sucking, and cheek chewing